What is the color-coding of bag in hospitals to disposeoff human anatomical wastes such as body parts -
1. Yellow
2. Black
3. Red
4. Blue

Correct answer: 1. Yellow

Explanation: Ans. is 'a' i.e., Yellow Human anatomical wastes such as human tissues, organs, and bodv parts are classified as Waste Category No. 1 They are disposed in 'plastic bags' with a 'yellow color code' and treated by 'Incineration or deep burial'.